The electrical potential difference necessary for a single ion to be at equilibrium across a membrane is best described by the
1. Goldman equation
2. van't Hoff equation
3. Fick's law
4. Nernst equation

Correct answer: 4. Nernst equation

Explanation: At normal body temperature (37degC), the electrical difference that will balance a given concentration difference of univalent ions--such as Na+ ions--can be determined from the following formula, called the Nernst equation.Ref: Guyton; 13th edition; Chapter 4 Transport of Substances Through Cell Membranes